Brucella is transmitted by all of the following, EXCEPT:
1. Through the placenta of animals
2. Aerosol transmission
3. Person to person
4. Eating uncooked food

Correct answer: 3. Person to person

Explanation: Usual transmission of brucella is from infected animals to man. Man to man transmission is not known. Most commonly, infection occurs from direct contact with infected tissues especially placenta. Ingesting infected food and inhaling aerosolised bacteria are established modes of transmission of brucella. Ref: Textbook of Preventive and Social Medicine, Park, 20th Edition, Chapter 5, Page 253.